Salbutamol is preferred over adrenaline in an asthmatic due to
1. β1 selectivity
2. β2 selectivity
3. α1 selectivity
4. None

Correct answer: 2. β2 selectivity